A 32 yr. old female is suffering from watery diarrhoea, hyponatremia and hypokalemia. Later it was diagnosed as cholera. The mechanism of action of heat labile toxin of Vibrio cholerae is
1. Increased CAMP
2. Increased CGMP
3. Inhibiting the release of ACH from nerves
4. Inhibiting protein synthesis by inactivating EF 2

Correct answer: 1. Increased CAMP

Explanation: Enterotoxin -heat labile or cholera toxin acts by increasing CAMP which causes hypersecretion of water and electrolytes Ref: Textbook of Microbiology Baveja 5th ed Pg 279